In Xeroderma Pigmentosum, defect is in?
1. Base pair defect
2. Nucleotide Excision Repair
3. Mismatch repair defect
4. Protein folding

Correct answer: 2. Nucleotide Excision Repair

Explanation: XERODERMA PIGMENTOSUM Autosomal recessive. Patients with this disorder are more prone to develop cancers of sun exposed skin. The basis for this is defective DNA repair. UV rays in sunlight cause Cross linking of pyrimidine residues, preventing DNA replication. Such DNA damage is repaired by nucleotide excision repair. An inherited loss of any of the proteins involved in excision repair leads to xeroderma pigmentosum. {Reference: Robbins basic pathology 9E pg no.197}